Most common tumour of heart Is-
1. Myxoma
2. Rhabdomyosarcoma
3. Fibroma
4. Leiomyosarcoma

Correct answer: 1. Myxoma

Explanation: Myxoma are the most common primary tumor of the adult heart. Roughly 90% are arterial with the left atrium accounting for 80% Robbins 9 th edition page no. 404